Indurated seminal vesicle is characteristic of:
1. TB
2. Syphilis
3. Gonorrhea
4. Chlamydia

Correct answer: 1. TB

Explanation: Reference: http://enledicine. ntedscape. cotn/a rticle/Seminal Vesicle AnatomyExplanation:"In Genital tuberculosis, palpation of the seminal vesicles may reveal enlargement and induration "Genital Tuberculosis involving Seminal VesicleGenitourinary organs are then reached via a hematogenous route, withThe kidneys and prostate gland the most commonly secondarily affected.Urine containing the microorganism may subsequently invade the seminal vesicles.Fibrosis and necrosis of the seminal vesicles are common sequelae.Palpation of the seminal vesicles may reveal enlargement and induration.Pathology is typically bilateral, affecting both glands.Scarring, calcification, and morphologic alteration can affect the functioning of the glands